Richest source of Linoleic acid:-
1. Safflower oil
2. Sun flower oil
3. Olive oil
4. Ground nut

Correct answer: 1. Safflower oil

Explanation: - Highest amount of most essential fatty acid is in Safflower oil. Dietary sources of EFA:- Essential fatty acids Dietary source Per cent content Linoleic acid Safflower oil Corn oil Sunflower oil Soyabean oil Sesame oil Groundnut oil Mustard oil Palm oil Coconut oil 73 57 56 51 40 39 15 9 2 Arachidonic acid Meat, eggs Milk (fat) safflower oil 0.5-0.3 0.4-0.6 Linolenic acid Soyabean oil Flax seed oil 7 Varied Eichosapentaenoic acid Fish oil 10